Which of the following is indicative of foreign body in tracheobronchial tree in a child?
1. History of coughing, choking and gagging
2. X-ray of chest with hyperinflated lung on one side
3. X-ray of chest with unilateral atelectasis
4. All of the above

Correct answer: 4. All of the above

Explanation: Hyperinflated lung or one of its lobes occurs w hen foreign body allows ingress of air but prevents egress. Such hyperinflated lung can also burst causing pneumothorax, surgical emphysema or mediastinal emphysema.Unilateral atelectasis occurs when foreign body obstructs the bronchus completely preventing ingress and egress of air. The air in the lung or its lobe is absorbed.A history of coughing, choking and gagging is suggestive of foreign body aspiration.